Type of inheritance in MEL AS-
1. AD
2. AR
3. Mitochondrial
4. X-linked

Correct answer: 3. Mitochondrial

Explanation: Ans. is 'c' i.e., Mitochondrial o MELAS (mitochondrial encephalopathy with lactic acidosis an stroke) is a mitochondrial disease